A 3-year-old girl has normal developmental milestones except the delay in speech. She has difficulty in concentration, communication and relating to others and does not make friends but plays with herself. Likely diagnosis is
1. ADHD
2. Autism
3. Specific learning disorder
4. Intellectual disability

Correct answer: 2. Autism

Explanation: Autism Absent social smile Lack of eye to eye contact Lack of awareness of others existence or feelings and treats people as furniture Lack of attachment to parents and absence of separation anxiety No or abnormal social play prefers solitary games Marked impairment in making friends Absence of fear in presence of danger (Ref: a short textbook of psychiatry, Niraj Ahuja,7th edition, pg no 164)